Pasmmoma bodies are seen in following except ?
1. Serous cystadenoma of ovary
2. Mutinous cystadenoma of ovary
3. Meningioma
4. Papillary carcinoma of thyroid

Correct answer: 2. Mutinous cystadenoma of ovary

Explanation: Ans. is 'b' i.e. Mucinous cyctadenoma of ovary